Which of the following statements are true about mifepristone :
1. Also called RU -- 486
2. It is a 19 -- norsteroid
3. Acts on receptors
4. All

Correct answer: 4. All

Explanation: Ans. is a, b, c Also called RU - 486; It is a 19 Norsteroid; Acts on receptors; Used for menstrual regulation Route of administration : Oral RU 486 (Mifepristone) is a 19 Norsteroid synthetic derivative of progesterone. It has affinity for progesterone receptors and therefore blocks its actions. Uses : As post coital (600mg given within 72 hrs. of unprotected sex). To induce abortion upto 7 weeks of amenorrhea along with mesoprostol (medical abortion). Ripening of cervix prior to prostaglandin induction of mid trimester abortion. Management of ectopic pregnancy. Cushing's syndrome : because of its antiglucocorticoid action. Medical management of uterine fibroid. Headache GI upset Adrenal failure Teratogenesity (If medical methods of abortion fails with RU - 486, pregnancy should be terminated any how). Contraindication : * Adrenal failure Cardiac disease Asthma Haemorrhagic disease Glucoma Woman on long term glucocorticoid therapy and anticoagulants.